Paedophile is having anal intercourse with -
1. Older women
2. Children
3. Homosexual adult
4. Hijra

Correct answer: 2. Children

Explanation: In sodomy with children :-


The act → 4 Pederasty
Active agent → 4 Paedophile
Passive agent (i.e. child) →Catamite.